All are seen more in ECF except
1. Na+
2. Cl-
3. Mg++
4. HCO-3

Correct answer: 3. Mg++

Explanation: Na+,Ca+,Cl- and HCO3- are largely extracellular whereas K+,Mg2+ are predominantly seen in ICF.(Ref: Textbook of physiology AK Jain 5tg edition page no.27)